Use of folic acid to prevent congenital malformation should be best initiated :
1. During 1st trimester of pregnancy
2. During 2nd trimester of pregnancy
3. During 3rd trimester of pregnancy
4. Before conception

Correct answer: 4. Before conception

Explanation: Ans. is d i.e. before conception "Folic acid has been shown to effectively reduce the risk of neural tube defects (NTD's). A daily 4 mg dose is recommended for patients who have had a previous pregnancy affected by neural tube defects. It should be started atleast 1 month (ideally 3 months) prior to pregnancy and continued through the first 6-12 weeks of pregnancy." Remember : Folic acid is used to reduce the risk of neural tube defect Therapeutic dose of folic acid (to be given in females with previous history of baby with NTD) - 4mg. Prophylactic dose of folic acid - 0.4mg i.e. 400 mcg Duration :It should be started 1 month before conception and continued till first 6-12 weeks of pregnancy. Note : Women with insulin dependant diabetes mellitus and those with seizure disorders treated by valproic acid) and carbamazepine are also at greater risk for NTD's.